Thermophiliac actinomycesis is associated with?
1. Bagassosis
2. Byssinosis
3. Silicosis
4. Pneumoconiosis

Correct answer: 1. Bagassosis

Explanation: - bagassosis is the occupational disease of the lung caused by inhalation of bagasse or sugarcane dust. - due to thermophilic actinomycete Thermoactinomyces sacchari. - symptoms include breathlessness, cough, hemoptysis and slight fever. - if left untreated, diffuse fibrosis,emphysema and bronchiectasis occurs. Reference : Park's textbook of preventive and social medicine, 23 rd edition, pg no 807